Defect Xeroderma pigmentosum includes
1. Mismatch repair
2. Base excision repair
3. Nucleotide excision repair
4. All of the above

Correct answer: 3. Nucleotide excision repair

Explanation: Question repeated